All tests are used to detect live birth, except:
1. Ploucquet's test
2. Fodere's test
3. Gettler's test
4. Raygat's test

Correct answer: 3. Gettler's test

Explanation: Ans. Gettler's test